Cause of fragmented RBC in peripheral blood -
1. Microangiopathic hemolytic anemia
2. D.I.C.
3. Option 1,2&4
4. Malignant hypertension

Correct answer: 3. Option 1,2&4

Explanation: Microangiopathic hemolytic anemias most commonly seen with DIC ,TTP, HUS, malignant hypertension, SLE ,and disseminated cancer. These causes micro vascular lesions leading to luminal narrowing, due to deposition of fibrin and platelets.These changes produce shear stress that mechanically injure passing RBCs ,leading to fragmentation of RBCs .In peripheral blood fragmented RBCs (schistocytes) are seen .Schistocytes can be seen in disseminated intravascular coagulation (DIC), micropathic hemolytic anemia, glomerulonephritis, and hemolytic anemia resulting from mechanical trauma to the red blood cells (such as severe burns). Ref: Robbins pathologic basis of disease ;pg :644 Ref Robbins 9/e pg 409